Dyslipidemia associated with alcohol consumption
1. Decreased HDL
2. Increased HDL
3. Decreased triglycerase
4. Decreased lipoprotein

Correct answer: 2. Increased HDL